Surgery of choice for congenital cataract ?
1. ECCE
2. ICCE
3. Needling
4. Discission

Correct answer: 1. ECCE

Explanation: Ans. is 'a' i.e., ECCE Surgery for congenital or developmental cataract Cataract surgery is the treatment of choice for congenital and developmental cataract. Extracapsular cataract extraction (extracapsular removal of the cataractous lens) is the surgery of choice.This is done by phacoemulsification. Intracapsular cataract extraction (ICCE) in children is contraindicated because of vitreous traction and loss at the wieger capsulohyaloid ligament Method for extracapsular cataract extration are :- Posterior capsulectomy and anterior vitrectomy (Procedure of choice). This can be done limbal or pars plana approach. Lens aspiration Lensectony The traditional treatment of needling or discission of congenital cataract are obsolete now. After removal of cataractous lens, the resultant aphakia in children is treated by : - If child is < 2 years - Contact lens If child is > 2 years -Intraocular lens implantation